All are symptoms of hypocalcemia except
1. Chvostek sign
2. Trousseau sign
3. Peaked p waves
4. laryngospasm

Correct answer: 3. Peaked p waves

Explanation: Following are symptoms seen in hypocalcemia Neuromuscular irritability circumoral and peripheral paresthesia chvostek sign (facial twitching induced by tapping on the facial nerve ) trousseau sign (forearm muscular spasm induced by inflating a pressure cuff) muscle cramps laryngospasm tetany seizures cardiac * impaired inotropy prolonged QT ventricular fibrillation heart block